A case of central placenta previa with anencephaly fetus should be delivered by :
1. Cesarean section
2. Induction of labour
3. Hall breech extraction
4. Application of Willet's forceps

Correct answer: 1. Cesarean section

Explanation: Cesarean section